Apoptosis is initiated by
1. Caspases
2. DNA
3. Antibodies
4. RAS Kinase

Correct answer: 1. Caspases

Explanation: . Caspases